Galactorrhea, a milky discharge from the nipple in nonpregnant women, is most likely to be associated with which of the following?
1. Fibroadenoma
2. Tubular adenoma
3. Pituitary adenoma
4. Hyperparathyroidism

Correct answer: 3. Pituitary adenoma

Explanation: Galactorrhea is fairly common up to old age. The discharge may vary in color from brown to milky. Hormonal causes are associated with elevated prolactin levels or with pituitary or thyroid disorders. Tranquilizers have also been implicated. Simple abscesses do not cause galactorrhea.